CuT 380A IUCD should be replaced once in ?
1. 4 yrs
2. 6 yrs
3. 8 yrs
4. 10 yrs

Correct answer: 4. 10 yrs

Explanation: Ans. is 'd' i.e., 10 yrs "The Cu-T 380A is approved for use for 10 years. However; the Cu-T 380A has been demonstrated to maintain its efficacy over at least 12 years of use".